Poiseuille’s hagen lawis
1. F = (PA–PB) × 3.14 × r4/8nl
2. F = (PA+PB) × 3.14 × r4/8nl
3. F = (PA/PB) × 3.14 × r4/8nl
4. F = (PA × PB) × 3.14 × r4/8nl

Correct answer: 1. F = (PA–PB) × 3.14 × r4/8nl

Explanation: Poiseuille-Hagen Formula
The relation between the flow in a long narrow tube, the viscosity of the fluid, and the radius of the tube is expressed mathematically in the Poiseuille-Hagen formula: